Which of the following does not have analgesic action:
1. Ether
2. Ketamine
3. Halothane
4. Morphine

Correct answer: 3. Halothane

Explanation: Halothane is neither a good analgesic nor a muscle relaxant. Ether is a potent and reliable anesthetic. Ketamine produces profound analgesia and amnesia. Morphine is a potent analgesic and relieves pain without loss of consciousness. From padmaja 4th edition Page no 196,197,239